False about CA pancreas
1. Most common site is head and uncinate process
2. Pain suggests unresectability
3. Two third patients present with diabetes
4. Acute pancreatitis never occurs in CA pancreas

Correct answer: 4. Acute pancreatitis never occurs in CA pancreas

Explanation: Clinical features of Carcinoma Pancreas MC site is head and uncinate process Patients with lesions that occur near the bile duct, such as those near the ampulla, head of the pancreas and uncinate process, are much likely to have obstructive jaundice Those with lesions in the body or tail of the pancreas are more likely to complain pain Pain suggests unresectability in carcinoma pancreas Two third (65%) patients present with diabetes in carcinoma pancreas Patients may also have acute pancreatitis secondary to obstruction of the pancreatic duct Elderly patients with acute pancreatitis but without a history of alcohol use or gallbladder stones should be screened for a neoplasm Ref: Sabiston 20th edition Pgno :1544